Hyperkalemia is caused by all EXCEPT:
1. Loop diuretics
2. valsartan
3. amiloride
4. enalapril

Correct answer: 1. Loop diuretics

Explanation: Loop diuretics and thiazide diuretics cause hypokalemia ACE inhibitors, ARBs like losartan, valsartan cause hyperkalemia potassium-sparing diuretics like spironolactone, amiloride cause hyperkalemia Hyperkalemia is a common clinical condition that can be defined as a serum potassium concentration exceeding 5.0 mmol/L ESSENTIALS of medical PHARMACOLOGY SIXTH EDITION -KD TRIPATHI Page:566,567